Not an autosomal dominant disorder-
1. Alkaptonurea
2. Hereditary spherocytosis
3. Osteogenesis imperfecta
4. Gardner syndrome

Correct answer: 1. Alkaptonurea

Explanation: Ans is 'a' i.e. Alkaptonurea * Acute intermittent porphyria is inherited as an autosomal dominant disorder.Autosomal dominant disordersNervousUrinaryGITHematologicalSkeletalMetabolic* Huntington disease* Neurofibromatosis* Myotonic dystrophy* Tuberous sclerosis* Retinoblastoma* Polycystic kidney* Familial polyposis coli* Gardners syndrome* Turcots syndrome* Lynch syndrome* Peutz Jagher s syndrome* Juvenile polyposis* Heriditary spherocytosis* Von- Willibrand dis* Marfan syndrome* EDS (some variant)* Osteogenesis imperfecta* Achondroplasia* Tuberous sclerosis* Crouzon syndrome* Hereditary multiple exostoses* Familial hypercho- lesterolemia* Acute in- termittent porphyria